A 10-year-old boy presented with painful boggy swelling of scalp, multiple sinuses, with purulent discharge, easily pluckable hair and lymph nodes enlarged in occipital region. Which will be most helpful for diagnostic evaluation?
1. Biopsy and Giemsa evaluation
2. Bacterial culture
3. KOH mount
4. Patch test, gram staining, Tzanck smear

Correct answer: 3. KOH mount

Explanation: Ans. c. KOH mountKerionInflammatory variant of Tinea capitisPainful boggy swelling with multiple sinuses and tender lymph node enlargement may be seen.Wood's lamp examination and KOH mount help in diagnosisTreated by oral antifungals (Griseofulvin and Itraconazole)